Not true regarding Husband who batters wife:
1. Commanding
2. Non-dependent, caring, altruistic
3. Displacing
4. Dependent

Correct answer: 2. Non-dependent, caring, altruistic

Explanation: Husbands who are perpetrators of domestic violence against wife tend to be immature, dependent and non-asseive and have feelings of inadequacy. They are impatient and impulsive and displace aggression provoked by others on their wives. They have low self esteem and may humiliate their wives to build the self esteem.